Which is the earliest symptom of Parkinsonism?
1. Tremors
2. Rigidity
3. Bradykinesia
4. Chorea

Correct answer: 1. Tremors

Explanation: Ans. (a) TremorsRef.: Harrison 19th ed. / 2609* In the early presentation, about 70 % patients experience a slight tremor in the hand or foot on one side of the body, or less commonly in the jaw or face. The tremor consists of a shaking or oscillating movement, and usually appears when a person's muscles are relaxed, or at rest, hence the term'resting tremor.* The tremor of PD can be exacerbated by stress or excitement, sometimes attracting unwanted notice. The tremor often spreads to the other side of the body as the disease progresses, but usually remains most apparent on the initially affected side.